Hypercoagulability and dermal vascular necrosis are early appearing adverse effects of:
1. Clopidogrel
2. Heparin
3. Warfarin
4. Vitamin K

Correct answer: 3. Warfarin

Explanation: Oral anticoagulants inhibit the activation of several clotting factors (II, VII, IX and X) as well as anti-clotting proteins (protein C and S). First to disappear is protein C that can result in hypercoagulation resulting in dermal vascular necrosis.